Which of the following is not included in Virchow's triad of thrombus formation?
1. Endothelial injury
2. Stasis or turbulent blood flow
3. Hypercoagulability of the blood
4. Increased vascular permeability

Correct answer: 4. Increased vascular permeability

Explanation: The three primary abnormalities that lead to thrombus formation (called Virchow's triad) are (1) endothelial injury, (2) stasis or turbulent blood flow, and (3) hypercoagulability of the blood. Ref: Robbins 8th edition Chapter 4.